The target group of IMNCI
1. Upto 5 yrs
2. Upto 10 yrs
3. Upto 15 yrs
4. Upto 20 yrs

Correct answer: 1. Upto 5 yrs

Explanation: Integrated management of neonatal and childhood illness target is upto 5 yrs of age. Ref: PARK'S TEXTBOOK OF PREVENTIVE AND SOCIAL MEDICINE 23rd edition pg 459